A 25 year old male is diagnosed to have osteosarcoma involving his right femur. Mutation of which of the following gene can be related to the development of osteosarcoma?
1. APC gene
2. Bcl 2 gene
3. RB gene
4. C myc gene

Correct answer: 3. RB gene

Explanation: Mutation of the Rb gene can result in retinoblastoma, osteosarcoma, breast cancer and small cell carcinoma. Mutation of APC gene is found in 70-80% of non familial colon carcinomas, 50% of hepatoblastomas and 20% of hepatocellular carcinomas. Mutation of Bcl 2 gene is associated with the development of follicular lymphoma. C myc gene is associated with Burkitt's lymphoma Mutation of p53 gene is found in more than 70% of tumors. Mutation of NF1 gene is associated with the development of neurofibromas and malignant peripheral nerve sheath tumors. Mutation of VHL gene is associated with nonfamilial renal cell carcinomas. Ref: Wyatt C., Kemp W.L., Moos P.J., Burns D.K., Brown T.G. (2008). Chapter 4. Neoplasia.